Not a true statement about Osteoclastoma
1. Usually solitary
2. Metaphyseal origin
3. Benign bone tumor
4. Common in age between 20-40 years

Correct answer: 2. Metaphyseal origin

Explanation: GIANT CELL TUMOR (OSTEOCLASTOMA) It is an aggressive but benign tumor of bone. It is uncommon before age 20 or after 50; 65% of our patients were between ages 20 and 40 years. Giant cell tumors are epiphyseal in origin and they arises after epiphyseal closure. When the lesion is first seen, it is already of good size. Occasionally, it may present as a small lesion